In putrifaction greenish discolouration is first seen in:
1. Lion
2. Epigastrium
3. Right iliac fossa
4. Lower limb

Correct answer: 3. Right iliac fossa

Explanation: C i.e. Right iliac fossa